All of the following are released/increased in surgical stress EXCEPT:
1. ADH
2. Insulin
3. ACTH
4. Cortisol

Correct answer: 2. Insulin

Explanation: Ans. (b) InsulinRef: Bailey & Love 26th ed. /4* The stress response to surgery is characterized by increased secretion of pituitary hormones and activation of the sympathetic nervous system. Release of corticotrophin from the pituitary stimulates cortisol secretion from the adrenal cortex. Arginine vasopressin is secreted from the posterior pituitary and has effects on the kidney. In the pancreas, glucagon is released and insulin secretion may be diminished.* Logic for ADH increase is that the body is trying to retain water.Hormones IncreasedACTH, GH, AVP, Cortisol,Aldostrone, Small Increase In GlucagonHormones DecreasedInsulin, Thyroxine (T4) And T3May Increase Or DecreaseTsh, Fsh, Lh